Oxidative deamination is catalyzed by -
1. Glutaminase
2. Glutamine synthase
3. Glutamate dehydrogenase
4. None of the above

Correct answer: 3. Glutamate dehydrogenase

Explanation: Ans. is 'c' i.e., Glutamate dehydrogenase Deaminationo Deamination (i.e., removal of -NH, group) may be oxidative or non-oxidative.Oxidative deaminationo It is the most important deamination process. Glutamate undergoes oxidative deamination (removal of amino group) by the action of L-glutamate dehydrogenase (GDH). GDH requires NAD+ or NADP+.o Thus, the net removal of a-amino groups to form ammonia, requires the comination of glutamate transminases (AL T or AST) and glutamate dehydrogenase. The whole process of conversion of a-amino group to ammonia (transamination + oxidative deamination) is called Transdeamination.Nonoxidative deaminationo Beside oxidative deamination, deamination can also occur by non-oxidative methods,. It occurs by: -i) By Amino acid oxidases : L-amino acid oxidases of liver and kidney convert an a-amino acid to a-imino acid that decomposes to an a-keto acid with release of ammonium ion. In this reaction, O, is reduced to H,0., which is later decomposed by catalase.ii) By amino acid dehydratase : - The a-amino group of serine and threonine can be directly deaminate into NH4+ ion by dehydratases. Dehydratases also requirepyridoxal-phosphate as coenzyme.